A specimen for a biopsy should be taken from:
1. Necrotic area
2. Subdermat layer
3. Border of an ulcerated area
4. Center of an ulcerated area

Correct answer: 3. Border of an ulcerated area